Which of the following biomedical wastes can be incinerated?
1. Pressurized gas containers
2. Radiographic wastes
3. PVC
4. Human anatomical wastes

Correct answer: 4. Human anatomical wastes